The "Distant metastasis" of bone can be best detected by:
1. NMI
2. Bone scan
3. CT
4. Intravenous venogram

Correct answer: 2. Bone scan

Explanation: Bone scan